Perifascicular atropy of muscle fibres is seen in -
1. Steroid myopathy
2. Dermatomyositis
3. Inclusion body myositis
4. Nemaline myopathy

Correct answer: 2. Dermatomyositis

Explanation: Ans. is 'b' i.e., Dermatomyositis o Dermatomyositis is a connective-tissue disease related to polymyositis that is characterized by inflammation of the muscles and the skin. o It is a systemic disorder that may also affect the joints, the esophagus, the lungs, and, less commonly, the heart. o On the muscle biopsy, there are two classic microscopic findings of dermatomyositis. They are : mixed B- & T-cell perivascular inflammatory infiltrate and perifascicular muscle fiber atrophy. o It is associated with autoantibodies, especially anti-Jol antibody.